FIGLU Test is used for deficiency of ?
1. Vitamin B12
2. Riboflavin
3. Niacin
4. Folic acid

Correct answer: 4. Folic acid

Explanation: Ans. is 'd' i.e., Folic acid